In Medullary Carcinoma thyroid Tumor marker is:
1. TSH
2. Calcitonin
3. T3, T4 and TSH
4. Alpha Feto protein

Correct answer: 2. Calcitonin

Explanation: Ans is 'b' ie calcitonin. * Schwartz Surgery writes -The presence of amyloid is a diagnostic finding, but immunohistochemistry for calcitonin is more commonly used as a diagnostic tumor marker. These tumors also stain positive for CEA (Carcinoembryonic antigen) and CGRP (Calcitonin gene-related peptide)"List of important tumor markets* Tumor Site Tumor markers*Medullary Ca of Thyroid-Calcitonin*Papillary Ca of Thyroid-Thyroglobulin*Prostate-Prostate specific antigen, Prostate acid phosphatase*Liver-AFP, Carcino embryonic antigen*Ovary-CA 125, Placental alkaline phosphatase, beta-HCG*Breast-CEA (Carcinoembryonic antigen)*Testicle-AFPBeta-HCGLDH*Lung (small cell Ca)-Neuron specific enolase Creatinine kinase brain isoenzyme (CK-BB)*Carcinoid-5 HIAA (5-hydroxy indole acetic acid)*Neuroblastoma-Neuron specific enolase*Pancreas-Insulin*Stomach-Gastrin*Pituitary-ACTH*Bone-Alkaline Phosphatase*Multiple myeloma-Bence Jones proteins.